Which of the following heavy metal poisoning may cause colitis that resembles diptheritic colitis?
1. Lead
2. Arsenic
3. Mercury
4. Copper

Correct answer: 3. Mercury

Explanation: C i.e. Mercury